Damage to trochlear nerve causes which muscle palsy?
1. Superior Oblique
2. Lateral Rectus
3. Inferior oblique
4. Inferior rectus

Correct answer: 1. Superior Oblique

Explanation: Ans. is 'a' i.e., Superior Oblique Oculomotor nerveMedial rectus. Inferior rectus, Superior rectus, Inferior obliqueTrochlear nerveSuperior ObliqueAbducensLateral rectus